The virus causing aplastic crises in patients with haemolytic anaemia is
1. Parvovirus
2. Coxsackie virus
3. Cytomegalovirus
4. Herpes virus

Correct answer: 1. Parvovirus

Explanation: Parvovirus B19 is implicated in aplastic crisis in patients with hemolytic anemia, particularly sickle cell disease. Parvovirus virus is the only DNA virus which has single-stranded DNA genome. Ref : Ananthanarayana textbook of Microbiology 9th edition Pgno : 554